Cell wall of fungi does not contain
1. Sterols
2. Chitin
3. Mannan
4. Polysaccharides

Correct answer: 1. Sterols

Explanation: Cell wall of fungi contain-chitin,mannan,polysaccharides.
Cytoplasmic membrane contains sterols